Gene for folate carrier protein is located on chromosome
1. Chromosome 21
2. Chromosome 5
3. Chromosome 10
4. Chromosome 9

Correct answer: 1. Chromosome 21

Explanation: Folate cofactors are one-carbon donors essential for the biosynthesis of purines and thymidylate. Mammalian cells are devoidof folate biosynthesis and are therefore folate auxotrophs that take up folate vitamins primarily via the reduced folate carrier (RFC). The gene for RFC is located on chromosome 21.